Kussumaul's sign is not seen in -
1. Restrictive cardiomyopathy
2. Constrictive pericarditis
3. Cardiac tamponade
4. RV infarct

Correct answer: 3. Cardiac tamponade